Which of the following does not carry proprioceptive impulses?
1. Olivo cerebellar tract
2. Tecto cerebellar tract
3. Spino cerebellar tract
4. Cuneo cerebellar tract

Correct answer: 2. Tecto cerebellar tract

Explanation: tectocerebellar tract a bundle of fibers from the tectum of the mesencephalon to the cerebellum Ref: guyton and hall textbook of medical physiology 12 edition page number:780,781,782